Ductus arteriosus dependent blood flow is mandatory in all of the following congenital heart diseases EXCEPT:
1. Truncus arteriosus
2. Hypoplastic left heart syndrome
3. TGA with Intact ventricular septum
4. Obliterated aortic arch

Correct answer: 1. Truncus arteriosus

Explanation: - In Truncus arteriosus, both the aorta and pulmonary artery arise from a common large blood vessel. - So there is already complete mixing of systemic and pulmonary circulations; further mixing is not necessary. Hence it is ductus independent. - In all other given options, mixing of pulmonary systemic circulations is necessary to maintain relatively better oxygenation. Thus, dependent on ductus